In a woman presenting with amenorrhea headache, blurred vision and galactorrhea appropriate investigation:
1. Prolactin levels
2. LH
3. FSH
4. HCG

Correct answer: 1. Prolactin levels

Explanation: A women presenting with headache, blurred vision and galactorrhea raises of a pituitary prolactinoma and so appropriate investigation would be:

S prolactin (most important)
TSH (as patients with hypothyroidism have elevated TRH which acts to stimulate the release of prolactin)
X ray skull (shows space occupying lesion)
MRI
Contrast enhanced CT